Anti phospholipids syndrome is associated with all except
1. Recurrent abortion
2. Venous thrombosis
3. Pancytopenia
4. Antibody to lupus

Correct answer: 3. Pancytopenia

Explanation: Ref Harrison 17/r p1795, Robbins 8/e 123,215,,7/e ,p133,229,9/e p124-125 Antiphospholipid syndrome (APS) is an autoimmune disorder that is associated with pregnancy complications, including classified as primary or secondary, depending on its association with other autoimmune disorders. Primary APS is diagnosed in patients demonstrating the clinical and laboratory criteria for the disease without other recognized autoimmune disease. Secondary APS is diagnosed in patients with other autoimmune disorders, such as lupus